All of the following veins lack valves except
1. Femoral vein
2. Portal vein
3. IVC
4. Dural venous sinuses

Correct answer: 1. Femoral vein

Explanation: Veins which do not have valves are:IVCSVCHepatic, ovarian, uterine, renal, emissary, cerebral, pulmonary, and umbilical veinsPortal venous system is a valveless system